Infected dentine shows
1. Both organic and inorganic components in reversible form
2. Both organic and inorganic components in irreversible form
3. Organic components in irreversible form and inorganic components in reversible form
4. Inorganic component in irreversible form and organic component in reversible form

Correct answer: 2. Both organic and inorganic components in irreversible form